Nerve supply above pectinate line is through ?
1. Inferior rectal nerve
2. Pudendal nerve
3. Autonomic nerves
4. Perineal branch of S4

Correct answer: 3. Autonomic nerves

Explanation: Nerve supply of anal canalMucous membrane above pectinate line is supplied by autonomic nerves (sympathetic L1 L2 and parasympathetic: S2 S3 S4) and therefore is insensitive to pain.Part below the pectinate line is supplied by somatic nerves (inferior rectal nerve a branch of pudendal nerve) and therefore is sensitive to pain.Thus pain sensations are carried by pudendal nerve.